Diabetic retinopathy, most likely present with –
1. IDDM with 2 years duration
2. NIDDM with 2 years duration
3. Juvenile diabetes
4. Gestational diabetes

Correct answer: 2. NIDDM with 2 years duration

Explanation: "Vision - threatening retinopathy is rare in type 1 diabetic patients in the first 3-5 years of diabetes or before puberty. During the next two decades, nearly all type 1 diabetic patients develop retinopathy. Up to 21% of patients with type 2 DM have retinopathy at the time of first diagnosis of diabetes and most develop some degree of retinopathy over time".    — Diabetic retinopathy : the Essentials